Which of the following is not a structural element of the temporomandibular joint?
1. Sigmoid notch
2. Articular disc
3. Capsular ligament
4. Joint cavities

Correct answer: 1. Sigmoid notch